Negative feedback in spermatogenesis is by
1. ABP
2. Inhibin
3. Progesterone
4. None

Correct answer: 2. Inhibin

Explanation: Inhibin is One of several proteins that participate in differentiation and growth. Two glycoproteins, inhibin A and inhibin B, are secreted by Sertoli cells in the testis and granulosa cells in the ovary, inhibiting FSH secretion by direct action on the pituitary.Ref: Ganong's review of medical physiology;24th edition; page no:-427